An example of CXC chemokine is_____.
1. IL 8
2. IL 2
3. Lymphotactin
4. Fractalkine

Correct answer: 1. IL 8

Explanation: C-X-C chemokines have one amino acid residue separating the first two of the four conserved cysteines. These chemokines act primarily  on neutrophils. IL-8  (now called CXCL8) is typical of this group. It is secreted by activated macrophages, endothelial cells, and other cell types, and causes activation and chemotaxis of neutrophils, with limited activity on monocytes and eosinophils. Its most important inducers are microbial products and cytokines, mainly IL-1 and TNF.
Reference-Robbins BASIC PATHOLOGY 10th edition pg-74